Cell which does not migrate from the base of the crypt to ends of villi is?
1. enterocyte
2. endocrine cell
3. paneth cell
4. goblet cell

Correct answer: 3. paneth cell

Explanation: Paneth cells are specialised secretory cells. They fortify the small intestine's defenses against bacteria by secreting lysozyme, an antibacterial enzyme.